Mitochondrial DNA is
1. Closed circular
2. Nicked circular
3. Linear
4. Open circular

Correct answer: 1. Closed circular

Explanation: Mitochondrial DNA (mtDNA or mDNA) is the DNA located in mitochondria, cellular organelles within eukaryotic cells that convert chemical energy from food into a form that cells can use, adenosine triphosphate (ATP). Ref-Harpers illustrated biochemistry 30/e p585